What is deposited in Kyser-FIeischer ring -
1. Copper
2. Lead
3. Mercury
4. Heme

Correct answer: 1. Copper

Explanation: Ans. is 'a' i.e., CopperKayser-FLeischer (KF) ring - Copper deposition in Chalcosis or Wilson's diseaseFleischer ring - Deposition of iron and is a sign of keratoconus